DNA replication occurs in which phase of cell cycle -
1. S phase
2. Gl
3. G2
4. M

Correct answer: 1. S phase

Explanation: Ans. is 'a' i.e., S phase o Repeat from previous sessions.